Which of the following is not an RNA Virus:
1. Simian virus 40
2. Ebola
3. Rabies
4. Parainfluenza

Correct answer: 1. Simian virus 40

Explanation: Simian virus 40